Disulfiram mechanism of action -
1. Stimulates alcohol dehydrogenase
2. Stimulates aldehyde dehydrogenase
3. Inhibits aldehyde dehydrogenase
4. Inhibits dopamine oxidase

Correct answer: 3. Inhibits aldehyde dehydrogenase

Explanation: Ans. is 'c' i.e., Inhibits aldehyde dehydrogenase Disulfiramo Normally alcohol is metabolized by oxidation in liver.Ethyl alcoholAlcohol-------dehydrogenaseAcetaldehydeAldehyde-------dehydrogenaseAcetate -- CO2, + H2Oo Disulfiram inhibits the enzyme aldehyde dehydrogenaseo When alcohol is ingested after taking disulfiram, the concentration of acetaldehyde in tissues and blood rises and a number of highly distressing symptoms (aldehyde syndrome) are produced - Flushing, burning sensation, throbbing headache, perspiration, uneasiness, tightness in chest, dizziness, vomiting, visual disturbances, mental confusion, postural fainting and circulatory collapse.o Inhibition of aldehyde dehydrogenase with disulfiram is irreversible, synthesis of fresh enzyme is required for return of activity.o Disulfiram inhibits a number of other enzyme as well including alcohol dehydrogenase (option a), dopamine hydroxylase and several cytochrome 450 isoenzyme.o It is used for alcohol dependence.o Side effects are rashes, acnefomn eruptions, urticaria, garlic like or metallic taste, mild GI disturbances, restlessness, nervousness, headache, diziness, tremor, peripheral neuropathy, psychosis and ketosis.